Anitskov's cells are modified:
1. Neutrophils
2. Macrophages
3. Lymphocytes
4. Eosinophils

Correct answer: 2. Macrophages

Explanation: Ans: b (Macrophages) Ref: Robbins, p. 593In acute rheumatic fever, focal inflammatory lesions found in the heart are called Ashoff bodies. They consist of foci of swollen eosinophils, collagen surrounded by lymphocytes, but occasionally they contain plasma cells and plump macrophages. These plump macrophages are called Anitschkow cells.They are pathognonomic of rheumatic fever.Some other important cells:-LEcell- Neutrophil in SLETart cell- lymphocyte in SLELangerhan'scell- Ag presenting cells in epidermis (modified macrophages)Langhan's cell- Giant cells in granulomaGlitter cells- leucocytes in pyelonephritisGitter cells- microglia in CNSFlame cells- plasma cells in multiple myelomaFoam cells- lipid containing macrophages in leprosyHofbauer cells- placentaArmani Ebstein cells- Epithelial cells of PCT in DM